Lalloo, 60 years of age, a known case of cirrhosis liver, presents with increased levels of Alpha feto protein, hepatomegaly 3 cm below costal margin.USG showed lesions involving the right lobe of the liver. What is the most probable diagnosis -
1. Focal nodular hyper-plasia
2. Hepatocellular carinoma
3. Hepatic adenoma
4. Metastasis

Correct answer: 2. Hepatocellular carinoma